Most common cause dementia in an adult is
1. Alzheimer's
2. Multi-infarct
3. Pick disease
4. Metabolic cause

Correct answer: 1. Alzheimer's

Explanation: Dementia is a chronic organic mental disorder characterised by impairment of intellectual function, impairment of memory, deterioration of personality with lack of personal care Alzheimer's is the commonest cause of dementia seen in about 70% of all cases of dementia in USA. It is more commonly seen in women (Ref: a short textbook of psychiatry, Niraj Ahuja,7th edition, pg no23)